Methicillin-resistant Staphylococcus aureus is
1. Resistant to iodine solution
2. Transmitted the air-conditioning system
3. Causes deeper infections
4. Pulse field gel electrophoresis is useful in the investigation of an outbreak

Correct answer: 4. Pulse field gel electrophoresis is useful in the investigation of an outbreak

Explanation: Methicillin-resistant Staphylococcus aureus (MRSA) infections outside the healthcare setting are an increasing concern. MRSA isolates are analyzed by pulsed-field gel electrophoresis (PFGE). MRSA infection was significantly associated with a low composite hygiene score. PFGE analysis showed that isolates were indistinguishable and associated with community-onset MRSA infections in other US prisons. Improving hygiene practices and environmental conditions may help prevent and interrupt future MRSA outbreaks in prison settings. Ref: Textbook of Microbiology; Ananthanarayanan and Panicker; 10th Edition; Pg:205